Estrogen is secreted by -
1. Granulosa cells
2. Theca luteal cells
3. Thecainterna
4. Thecaexterna

Correct answer: 1. Granulosa cells

Explanation: Ans. is 'a' i.e., Granulosa cells o Ovarian follicle contains two types of cells in preovulatory phase Gramdosa cells :- Secrete mainly estrogen and very minimal amount of progesterone. Theca cells (interna & externa) :- Theca interna cells provide androgen and pregnenolone to granulosa cells to convert them into estrogen and progesterone respectively. o After ovulation, corpus luteum contain two types of cell Granulosa luteal ceils (formed by luteinization of granulosa cells) Produce mainly estrogen and minimal progesterone. Theca luteal cells (formed by luteinization of theca interna cells) Produce mainly progesterone.